Generator area in a nerve cell is
1. Cell body
2. Initial segment
3. Axon
4. Dendrites

Correct answer: 2. Initial segment

Explanation: The first portion of the axon is called the initial segment. The Initial segment in spinal motor neurons, the initial node of Ranvier in cutaneous sensory neurons is a site where propagated action potentials are generated.(Ref: Ganong's Review of Medical Physiology Twenty-Third Edition)